A 45-year-old female is having bilateral ovarian mass, ascites and omental caking on CT scan. There is high possibility that patient is having:
1. Benign ovarian tumor
2. Malignant epithelial ovarian tumor
3. Dysgerminoma of ovary
4. Lymphoma of ovary

Correct answer: 2. Malignant epithelial ovarian tumor